Which is the MOST common surgically repairable cause of hyperparathyroidism?
1. Adenoma
2. Carcinoma
3. Hyperplasia
4. Renal disease

Correct answer: 1. Adenoma

Explanation: Primary hyperparathyroidism is a surgical disease and operation is required for the hyperfunctioning gland. A single hyperfunctioning adenoma accounts for approximately 80% cases. Multiple adenoma or hyperplasia account for 15-20% and parathyroid carcinoma account for 1% cases of hyperparathyroidism.